A 53-year-old man has a slowly enlarging "bump" over the olecranon process of his elbow. The mass is excised and on section has a chalky white consistency. Microscopically, the mass is composed of elongated, needle-shaped crystals that under polarized light are negatively birefringent. Surrounding the crystals is a granulomatous inflammatory infiltrate. True statements concerning his condition include all of the following, except?
1. Most patients with hyperuricemia will develop it
2. The first metatarsal-phalangeal joint is usually involved
3. The crystals can also be seen in synovial fluid
4. This lesion can erode bone and cartilage

Correct answer: 1. Most patients with hyperuricemia will develop it

Explanation: Most patients with an increased serum uric acid do not have a gouty arthritis, though some do. Gouty tophi can develop in gout.